A boy is suffering from acute pyelonephritis. Most specific urinary finding will be -
1. W.B.C. casts
2. Leucocyte esterase test
3. Nitrite test
4. Bacteria in gram stain

Correct answer: 1. W.B.C. casts

Explanation: Wbc casts are seen in- Interstitial nephritis Acute pyelonephritis Allograft rejection Malignant infiltration of the kidney. Rbc casts - GN vasculitis Malignant hypertension Thrombotic microangiopathy Granular casts- ATN GN vasculitis Tubulointerstitial nephritis. Ref:Harrison 20 th edition pg no. 2106